Drug of choice for treatment of Acute withdrawl symptoms of Alcohol include
1. Acamprosate
2. Naltrexone
3. Chlordiazepoxide
4. Disulfiram

Correct answer: 3. Chlordiazepoxide

Explanation: Chordiazepoxide is Benzodiazepine derivative that acts on GABA receptors & open chloride channels which is used to treat the acute withdrawl symptoms of alcohol.
Naltrexone, Acomprosate, Disulfirm are the drugs used for maintenance of abstinence.